Appendix of testis arise from
1. Mesonephric duct
2. Paramesonephric duct
3. Mesonephric tubule
4. Genital Tubercle

Correct answer: 2. Paramesonephric duct

Explanation: The paramesonephric ducts remain rudimentary in the male. The greater part of each duct eventually disappears (Fig. 16.19B). The cranial end of each duct persists as a small rounded body attached to the testis {appendix of testis) which may occasionally give rise to cystsReference: Inderbir Singh Embryology; 10th edition; Page no: 316